Which of the following anticoagutant used in estimating blood glucose prevents glycolysis -
1. Oxalate
2. Citrate
3. NaF
4. Heparin

Correct answer: 3. NaF

Explanation: C i.e. NaFThe anticoagulant mixture used to estimate blood glucose from a sample contains anticoagulant & glycolytic inhibitor as there is loss of 1-2% of glucose /hour due to glycolysis of RBCs.Anticoagulant Glycolytic inhibitorPotassium oxalateQ Sodium fluoride (NaF)Q